Bile solubility is required for:
1. S. pneumoniae
2. S. aureus
3. S. agalactaciae
4. S. pyogenes

Correct answer: 1. S. pneumoniae

Explanation: Ans: a (S. pneumoniae) Ref:Ananathanarayan, 7th ed, p. 216Bile solubility is one of the characteristic feature of S.pneumoniaePneumococcus:* It is gram positive lanceolate* It is most common cause of lobar pneumonia, sinusitis, otitis media.* It is most common cause of bacterial meningitis in adults.* It is bile soluble and optochin sensitive.* It ferments inulinOn blood agar they are alpha haemolytic and on prolonged incubation, colonies show draughtsman or carom coin appearance.Capsular polysaccharide:Most common antigen and virulent factor of pneumococcusIt protects against phagocytosisType 3 pneumococcus has abundant capsular material- so more virulent.It shows Quellung reaction which is due to capsular polysaccharide and is useful in rapid identification.Penicillin resistance of pneumococcus is not due to production of a-lactamase but alteration in penicillin binding protein.